Skin over pinna is:
1. Firm on both sides
2. Loose on medial side
3. Loose on lateral side
4. Loose on both sides

Correct answer: 2. Loose on medial side

Explanation: Skin over the pinna is closely adherent to the perichondrium on the lateral surface while it is loosely attached on the medial surface.